Porencephaly is due to –
1. Dandly walker syndrome
2. Cerebral infarction
3. Fetal alcohol syndrome
4. Trisomy 13

Correct answer: 2. Cerebral infarction